The right costophrenic line extends up to the level of which rib in the mid-axillary line:
1. 6th
2. 8th
3. 10th
4. 12th

Correct answer: 3. 10th

Explanation: Right costophrenic line measures approximately 5 cm vertically and extends from the eighth to the tenth rib along the midaxillary line LINE OF PLEURAL REFLECTIONS;- Anterior border(costomediastinal);- Right side;-begin from sternoclavicular line upto 6th sternochondral joint in straight line. left side;-from sternoclavicular line upto 4th sternochondral joint in mid line below this it deviate away from mid line lateral to sternal margin and reach 6th sternochondral joint. Lower border(costodiaphragmatic line);- starts at xiphisternum crosses midclavicular line at 8th rib and mid axillary line at 10th rib and ends posteriorly 2cm lateral to spinous process of T12 vertebrae.